Most common cause of acute otitis media -
1. H. influenza
2. Strepto-pneumoniae
3. Staph aureus
4. Pseudomonas

Correct answer: 2. Strepto-pneumoniae

Explanation: Ans. is 'b' i.e., Strepto-pneumoniae o The most common causative organism is streptococcus pneumoniae. Other common organisms are H. influenzae and Moraxella catarrhalis. Less common causative organisms are streptococcus pyogenes, staphylococcus aureus and E.coli.